Hairpin shaped eosinophilic structure present in radicular cyst is:
1. Rushton bodies
2. Russell bodies
3. Both of the above
4. None of the above

Correct answer: 1. Rushton bodies

Explanation: Periapical Cyst 
The cyst lumen may be filled with fluid and cellular debris. On occasion, the lining epithelium may demonstrate linear or arch-shaped calcifications known as Rushton bodies 
Squamous epithelial cyst lining exhibiting numerous irregular and curvilinear Rushton bodies.